Standard of Living (WHO) includes all except:
1. Income
2. Sanitation and nutrition
3. Level of provision of health
4. Human rights

Correct answer: 4. Human rights

Explanation: Ans. (d) Human rights* Standard of Living: Refers to the usual scale of our expenditure, goods we consume and services we enjoy* Standard of living includes:- Income and Occupation- Standards of housing, sanitation and nutrition- Level of provision of health, educational, recreational and other servicesALSO REMEMBER* Standard of living depends on 'Per capita GNP